True regarding Na+ – K+ pump
1. Hetrodimer – homogenous
2. Hetrodimer – heterogenous
3. Homodimer – heterogenous
4. Homodimer – homogenous

Correct answer: 2. Hetrodimer – heterogenous

Explanation: Structure of Na+K+ pump
2 subunits- α subunit is larger and β subunit is smaller. 
Hence it is Heterodimer.
α subunits- α1, α2 & α3 isoforms.
β subunits- β1, β2 & β3 isoforms. Hence it is heterogeneous.